`La facies sympathique' is a condition seen in cases of -
1. Hanging
2. Strangulation
3. Myocardial insuffciency
4. Railway accidents

Correct answer: 1. Hanging

Explanation: o In case of pressure of ligature on cervical sympathetic chin the eye on that side is found open (La facie sympathique). It confirms antemortem banging.